Which of the following will be most severely affected tooth from nursing caries?
1. Mandibular canines
2. Mandibular 2nd  molars
3. Maxillary incisors
4. Mandibular incisors

Correct answer: 3. Maxillary incisors

Explanation: Maxillary incisors are among first teeth to erupt and are least protected by saliva and hence these are the most severely affected teeth.